Stratified squamous epithelium is seen at all the following sites EXCEPT:
1. Skin
2. Vagina
3. Esophagus
4. Gall bladder

Correct answer: 4. Gall bladder

Explanation: EpitheliumKeratinized stratified Squamous epithelium covers the skin of the whole of the body.Non-keratinized stratified Squamous epithelium is seen lining the mouth, the tongue, the pharynx, the oesophagus, the vagina and the corneaColumnar epithelium with a striated border is seen most typically in the small intestine, and with a brush border in the gall bladder